Myasthenia gravis may be associated with
1. Thymoma
2. Systemic lupus erythematous
3. Hyperthyroidism
4. All the above

Correct answer: 4. All the above

Explanation: Ref Robbins 7/e p1344; 9/e p1235-1236; Harrison 16/e p2521 table 366-3 MYASTHENIA GRAVIS (MG) is an autoimmune disease characterized by impaired neuromuscular transmission due to circulating antiacetylcholine receptor autoantibodies (AchRAb) (1). The frequent association of MG with thymic disease, such as follicular hyperplasia and thymoma, suggests that the thymus plays a role in its pathogenesis Patients with MG may have evidence of coexisting autoimmune thyroid diseases (AITD)